A recurrent bilateral conjunctivitis occurring with the onset of hot weather in young boys with symptoms of burning, itching, and lacrimation with polygonal raised areas in the palpebral conjunctiva is:
1. Trachoma
2. Phlyctenular conjunctivitis
3. Mucopurulrnt conjunctivitis
4. Vernal kerato conjunctivitis

Correct answer: 4. Vernal kerato conjunctivitis

Explanation: D i.e. Vernal Keratoconjunctivitis